Best artery to palpate for pulse in infants is ?
1. Femoral a
2. Radial a
3. Carotid a
4. Brachial a

Correct answer: 4. Brachial a

Explanation: Ans. is `d' i.e., Brachial Artery Checking and Pulse : Neonates - Umbillical artery 1-8 year - Brachial artery > 8 year - Carotid artery If pulse is not palpable or heart rate is < 60/min begin chest compression.